Name the following scientist who is considered as the father of modern pharmacology?
1. Ram Nath Chopra
2. Oswald Schmiedeberg
3. David Sackett
4. Paul Ehrlich

Correct answer: 2. Oswald Schmiedeberg

Explanation: Oswald Schmiedeberg is the father of modern Pharmacology. Sir Ram Nath Chopra - father of Indian pharmacology. David Sackett is the father of evidence-based medicine. Paul Ehrlich - father of chemotherapy. Ref: KD Tripathi 8th ed.